All of the following are cofactors for the enzymes of the TCA cycle, except
1. Niacin
2. Pantothenic acid
3. Biotin
4. Riboflavin

Correct answer: 3. Biotin

Explanation: The following vitamins serve as cofactors for various enzymes of the TCA cycle - Riboflavin 1. Active form: FAD 2. Cofactor for: Succinate dehydrogenase Niacin 1. Active form: NAD+ 2. Cofactor for: Isocitrate dehydrogenase, a-ketoglutarate dehydrogenase, and Malate dehydrogenase complex Thiamin 1. Active form: Thiamin diphosphate 2. Cofactor for: decarboxylation step of alpha keto glutarate dehydrogenase complex Pantothenic acid 1. Active form : As a part of Coenzyme A 2. Cofactor for: esterified to the carboxylic acid residues, i.e. acetyl-CoA and succinyl-CoA. Reference: Harper's Illustrated Biochemistry 30th Edition Page no: 164